A child is exclusively fed on cow's milk, the deficiency seen in:
1. Iron
2. Riboflavin
3. Vitamin-A
4. Thiamine

Correct answer: 1. Iron

Explanation: Iron